In specular microscopy endothelial density is measured by?
1. Optical doubling
2. Fixed frame analysis
3. Optical focusing
4. None

Correct answer: 2. Fixed frame analysis

Explanation: Ans. is 'b' i.e., Fixed frame analysis Endothelial cell density in specular microscopy is counted by fixed frame analysis and variable frame analysis. Cell density (ceIlsimrn2 ) = Cell count in frame